Volkmann's ischaemic contracture is commonly due to
1. Tight palster
2. Tight splint
3. Both
4. None

Correct answer: 3. Both

Explanation: C i.e. Both